Which of the following is an activator of LCAT?
1. Apo-E
2. Apo-Al
3. Apo-B 48
4. Apo-B 100

Correct answer: 2. Apo-Al

Explanation: (Refer: DM Vasudevan, Textbook of Biochemistry, 7th edition, pg no: 249)